True about mycoplasma -
1. Obligate intracellular organism
2. Penicillin is effective treatment
3. Require cholesterol for growth
4. Have thick cell wall

Correct answer: 3. Require cholesterol for growth